Lowest concentration of anaesthetic agent in alveoli needed to produce immobility in response to painful stimulus in 50% of individual is termed as –
1. Minimum alveolar concentration
2. Minimal analgesic concentration
3. Minimal anaesthetic concentration
4. Maximum alveolar concentration

Correct answer: 1. Minimum alveolar concentration

Explanation: MAC is the lowest concentration of the anaesthetic in pulmonary alveoli needed to produce immobility in response to a painful stimulus (surgical incision) in 50% individuals.